All are aromatic amino acids except
1. Lysine
2. Phenylalanine
3. Tyrosine
4. Tryptophan

Correct answer: 1. Lysine

Explanation: Aromatic amino acids are Phenylalanine and Tyrosine.Lysine is a Dibasic monocarboxylic amino acid.Ref: DM Vasudevan - Textbook of Biochemistry, 7th edition, page no: 24